In a well fed state, acetyl CoA obtained from diet is least used in the synthesis of:
1. Citrate
2. Succinate
3. Palmityl CoA
4. Acetoacetate

Correct answer: 4. Acetoacetate

Explanation: Acetoacetate